The swollen and painful left foot of a 23-year-old female long-distance runner is examined in the university orthopedic clinic. She states that she stepped on an unseen sharp object while running through the park several days earlier. Emergent surgery is ordered to deal with her tarsal tunnel syndrome. The tarsal tunnel is occupied normally by tendons, vessels, and nerves that pass beneath a very strong band of tissue (the laciniate ligament) on the medial side of the ankle. What is the most anterior of the structures that pass through this tunnel?
1. Flexor hallucis longus tendon
2. Plantaris tendon
3. Tibialis anterior tendon
4. Tibialis posterior tendon

Correct answer: 4. Tibialis posterior tendon

Explanation: The tibialis posterior tendon is the most anterior of the structures that pass under the laciniate ligament (flexor retinaculum) on the medial side of the ankle to enter the sole of the foot. Increases of pressure within the tissues of the plantar aspect of the foot, usually due to increased fluid from hemorrhage, inflammatory processes, or infections, cause tarsal tunnel syndrome, comparable to carpal tunnel syndrome of the hand. The plantar aponeurosis and other fibrous and osseous tissues of the plantar surface cause this area to be relatively non-distensible; therefore, it takes little increase of fluid content to result in pressures adequate to restrict venous drainage and, thereafter, arterial inflow to the region. Fasciotomy of the medial skin and fascia of the foot and the posterior compartment of the leg can be required to reduce the pressure and allow healing to take place. The structures that pass beneath the flexor retinaculum are, from anterior to posterior: Tendon of tibialis posterior; tendon of flexor Digitorum longus; posterior tibial Vessels and Nerve; tendon of flexor Hallucis longus. (This is the basis of the mnemonic device: "Tom, Dick, and a Very Nervous Harry.") Neither the plantaris tendon nor the tibialis anterior tendon pass through this canal.